Which of the following is not associated with peripheral neuropathy -
1. Urticaria pigmentosa
2. Diabetes mellitus
3. Nitrofurantion
4. Infectious mononucleosis

Correct answer: 1. Urticaria pigmentosa